Most common presentation of intracranial aneurysm is -
1. Coarctation of aorta
2. Systemic hypertension
3. Hypotension
4. Intracranial haemorrhage

Correct answer: 4. Intracranial haemorrhage

Explanation: Most unruptured intracranial aneurysms are completely asymptomatic. Symptoms are usually due to rupture and resultant sub-archnoid hemorrhage." - Harrison Ref : Harrison 17/e p1727